All are features of hemolytic anemia, except -
1. Hemoglobinuria
2. Jaundice
3. Increased haptoglobulin
4. Hemosiderinuria

Correct answer: 3. Increased haptoglobulin

Explanation: Haptoglobin binds with Hb released from lysed RBCs and forms a complex and hence in hemolytic anemias there is increased formation of this complex and there is a decrease in serum haptoglobin level. Ref:Postgraduate Hematology by Victor Hoffbrand , under hemolytic anemias Ref Robbins 9/e pg 422